A child of 7-8yrs of ages; c/o scalp swelling, alopecia:
1. Gram staining
2. KOH staining of the scrapings
3. PAS staining
4. Blood culture

Correct answer: 2. KOH staining of the scrapings

Explanation: Ans. is 'b' KOH staining of scrappingThe child is suffering from tinea capitis.It is a fungal infection which requires KOH scrapping for diagnosis.